Posterior urethral valves are commonly situated
1. Above verumontanum
2. At verumontanum
3. Below verumontanum
4. Bladder neck

Correct answer: 3. Below verumontanum